Pandemic are caused by-
1. Hepatitis B
2. Influenza-A
3. Influenza-B
4. Influenza-C

Correct answer: 2. Influenza-A

Explanation: Ans. is 'b i.e., Influenza-A Pandemic --> Influenza, cholera Eltor, Acute hemorrhagic, Conjuctivitis. Epidemic --> Measles, Chickenpox, Cholera Endemic --> Hepatitis A, typhoid fever Sporadic ---> Polio, Tetanus, Herpes zoster, meningococcal meningitis.